A 15 yr old girl who has not attained menarche is brought to emergency with complains of severe pain abdomen and acute urinary retention. On examination there is a tense bulging hymen . All of the following can/ will be findings in the patient except
1. Primary amenorrhea
2. Absent secondary sexual characters
3. Normal karyotype
4. Hematometra

Correct answer: 2. Absent secondary sexual characters

Explanation: Imperforate hymen Outflow tract obstruction preventing the drainage of menstrual blood, Uterus present, Breast development normal, Normal external genitalia Karyotype 46XX FSH LH Normal Pubic Hairs normal Clinical Features Primary amenorrhoea with cyclical pain This results in the accumulation of blood in the vagina leading to hematocolpos In long standing cases it can even lead to hematometra.. On Examination Bluish bulging membrane Rx -Cruciate incision